All of the following are selective f3-blockers except?
1. Atenolol
2. Esmolol
3. Bisoprolol
4. Sotalol

Correct answer: 4. Sotalol

Explanation: Ans. is 'd' i.e., Sotalol